18 Year old girl comes to gynae OPD presenting with 6 months of amenorrhea, with h/o low grade fever, weight loss, pain abdomen, generalized weakness. On examination pelvic mass felt on left side with features of ascites. Diagnosis?
1. TB pelvis with tubo ovarian mass
2. Ectopic pregnancy
3. Granulosa cell tumour
4. Fibroid degeneration

Correct answer: 1. TB pelvis with tubo ovarian mass

Explanation: Tubercular PID Pathogenesis of amenorrhea Endometritis - endometrial destruction- Asherman syndrome --> amenorrhea (non responsive to withdrawl by estrogen + progesterone) Oligomenorrhea Hypomenorrhea Amenorrhea ( m/c) C/F : low grade fever weight loss , pain abdomen, generalized weakness. Amenorrhea